Gluconeogenesis takes place in
1. Liver
2. RBC
3. Adipocyte
4. Myocyte

Correct answer: 1. Liver

Explanation: Only liver can replenish blood glucose through gluconeogenesis because glucose-6phosphatase is present mainly in liver. So liver plays the major role in maintaining the blood glucose level.Ref: DM Vasudevan, 7th edition, page no: 118